Under Millennium Development Scheme which year is set as "Target year" to achieve the goal?
1. 2010
2. 2012
3. 2015
4. 2020

Correct answer: 3. 2015

Explanation: Ans. c (2015) (Ref Text book of PSM by Park 20th/ 834, 30; style="font-size: 1.04761904761905em; font-family: Times New Roman, Times, serif">)The Millennium Development Goals (MDGs) are eight goals to be achieved by 2015 that respond to the world's main development challenges. The MDGs are drawn from the actions and targets contained in the Millennium Declaration that was adopted by 189 nations--and signed by 147 heads of state and governments during the UN Millennium Summit in September 2000.The eight MDGS break down into 21 quantifiable targets that are measured by 60 indicators.Goal 1: Eradicate extreme poverty and hungerGoal 2: Achieve universal primary educationGoal 3: Promote gender equality and empower womenGoal 4: Reduce child mortalityGoal 5: Improve maternal healthGoal 6: Combat HIV/AIDS, malaria and other diseasesGoal 7: Ensure environmental sustainabilityGoal 8: Develop a Global Partnership for Development